A person comes into your ER room with a very weak pulse after a suffering a heart attack. You suspect:
1. The weak pulse has nothing to do with shock or the heart attack, so send him home.
2. A late stage (decompensated) shock, the least life-threatening stage of shock.
3. A very early stage (compensated) shock, the most life-threatening stage of shock.
4. A late stage (decompensated) shock, the most life-threatening stage of shock

Correct answer: 4. A late stage (decompensated) shock, the most life-threatening stage of shock

Explanation: D:  A very weak pulse shows that the heart is slowly ceasing to function as a result of pumping too hard.
A: The patient should not be sent home; close observation is necessary.
B: This stage is a life-threatening stage as the heart could tire itself out and stop functioning.
C: An early stage of shock shows a rapid, bounding pulse.